Jumping gene is ?
1. Transposon
2. Episome
3. Cosmid
4. Plasmid

Correct answer: 1. Transposon

Explanation: A transposable element (Jumping gene) is a DNA sequence that can change its position within a genome, sometimes creating or reversing mutations and altering the cell's genetic identity and genome size. They are implicated in gene regulation and chromatin organization, but their function is still not well established. REF:Robbins 9edition pg: no. 2